Plasmacytoid lymphomas may be associated with -
1. IgG
2. IgM
3. IgA
4. IgE

Correct answer: 2. IgM

Explanation: Plasmacytoid lymphoma

Plasmacytoid lymphoma, also known as plasmacytoid lymphocyte type malignant lymphoma, is a B cell neoplasm that is associated with plasmacytoid differentiation of lymphocytes.
Plasmacytoid lymphocytes are transitional forms between lymphocytes and plasma cells.
These are low grade lymphoid neoplasms that occur in middle aged or older individuals.
In REAL classification, it is classified as lymphoplasmacytic lymphoma.
These may be associated with a monoclonal IgM paraprotein and are thus considered the histological counterpart of Waldenstrom's macroglobulinemia.